Umbrella configration on fluorescein angiogrphyis seen in ?
1. Retinitis pigmentosa
2. Rheugmatous retinal detachment
3. Central serous retinopathy
4. Eale's disease

Correct answer: 3. Central serous retinopathy

Explanation: Ans. is 'c' i.e., Central serous retinopathy Central serous retinopathy Central serous retinopathy is caused by an accumulation of transparent fluid at the posterior pole especially at macula causing a circumscribed area retinal detachment in the macular region. There is detachment of neurosensory retina (layers of rods and cones) with or without retinal pigment epithelium detachment. The condition affects males between 20-40 years of age. Patient presents with a sudden onset of painless loss of vision associated with relative positive scotoma, micropsia and metamorphosia. Ophthalmoscopic findings include mild elevation of macular area demarcated by a circular ring reflex and foveal reflex is distorted or absent. The diagnosis is confirmed by fluorescein angiography. It shows focal leakage of fluorescein in following two patterns : ? Ink-blot pattern or enlarging dot sign :- A small hyperfluorescent spot which gradually increases in size. Smoke-stack pattern :- Small hyperfluorescent spot which ascends vertically like a smoke stack and gradually spreads laterally to take a mushroom or umbrella configration